The bluish discoloration of vaginal mucosa in 8th week of pregnancy is called
1. Jacquemier's sign
2. Goodell's sign
3. Hegar's sign
4. Palmer's sign

Correct answer: 1. Jacquemier's sign

Explanation: Jacquemier's sign or Chadwick's sign This is the bluish discoloration of the vaginal mucosa due to pelvic congestion. It is seen about 8th week of pregnancy. Ref: FORENSIC MEDICINE AND TOXICOLOGY Dr PC IGNATIUS THIRD EDITION PAGE 330